A one year old child having leucocoria was detected to be having a unilateral, large retinoblastoma filling half the globe. Current therapy would involve-
1. Enucleation
2. Chemotherapy followed by local dyes
3. Direct laser ablation using photodynamic cryotherapy
4. Scleral radiotherapy followed by chemotherapy

Correct answer: 1. Enucleation

Explanation: *Tumor involving less than half of the globe- Multimodal therapy (chemoreduction followed by local destruction). *Tumor involving half or more of the globe - Enucleation. Ref: Wills Eye hospital at las of Clinical ophthalmology p.269.